Indication for radiotherapy in carcinoma endometrium include all except :
1. Pelvic node involvement
2. Deep myometrial involvement
3. Enlarged uterine cavity
4. Poor differentiation

Correct answer: 3. Enlarged uterine cavity

Explanation: Postoperative Radiotherapy in Endometrial cancer Stage Grade I & II Grade III IA Observation IV IB IV IM versus IV + CT II IV IM versus IV + CT II IM IM versus IV + CT IV: Intravaginal radiation IM: Intensuty modulated radiation therapy CT: Chemotherapy; Carboplatin + Paclitaxel Positive Lymph nodes : radiotherapy should be considered The postoperative radiotherapy is required in Stages IA (Grade 3), IA2, IB and II. Reference: Shaw's Textbook of Gynaecology 16th edition page 512